Active principle of oleander plant is-
1. Nerin
2. Atropine
3. Semicarpol
4. Cannabinol

Correct answer: 1. Nerin

Explanation: Ans. is 'a' i.e., Nerin The active principle of oleander plant is nerin. It consists of three glycosides : Neridorin which acts on heart similar to digitalis. Neridorein which causes muscle twitching and muscle spasms. Karabin which acts on heart and causes muscle spasms. The effects lasts for 3-6 days.